Phantom Tumor is name given to
1. Loculated Pleural Effusion
2. Subpulmonic effusion
3. Interlobar effusion
4. Pericardial effusion

Correct answer: 3. Interlobar effusion

Explanation: *Fissural Interlobar effusion is called as Phantom Tumor *It appears biconvex sharply marginated along the fissural lines viewed on a Lateral view